Eastern equine encephalitis virus is associated with a high fatality rate. Control of the disease could be possible by eradication of
1. Horses
2. Birds
3. Mosquitoes
4. Fleas

Correct answer: 3. Mosquitoes

Explanation: Eastern equine encephalitis (EEE) is a severe disease usually seen in the summer months when Aedes mosquitoes are prevalent. In 1996 and 1997, there were several outbreaks in the Northeast United States. Control of EEE is a function of mosquito eradication. Horses and humans are accidental hosts. While draining of swamps helps, other measures to eliminate mosquitoes such as spraying are the most effective.